All of the following are true about solar urticaria, EXCEPT:
1. Common in females between age group above 40 yrs
2. Lesions subsides spontaneously on avoiding exposure within 24 hours
3. Some cases may develop severe urticaria/bronchospasm
4. Almost all cases are idiopathic

Correct answer: 1. Common in females between age group above 40 yrs

Explanation: Solar urticaria is commonly found in women under the age of 30 years. Solar urticaria is an idiopathic disorder induced by ultraviolet light especially UVB. It is characterized by whealing within 5 -10 minutes of exposure to sunlight . Patients also complaints of irritating burning sensation of skin, followed by erythema and whealing. Rarely, they may also experience headache, bronchospasm and synchopal episodes.